Case series report is a type of -
1. Analytic study
2. Experimental study
3. Observational study
4. Intervention study

Correct answer: 3. Observational study

Explanation: Ans. is 'c' i.e., Observational study A) Observational studiesi) Descriptive studies : Case reports, case series.ii) Analytic studies: Case-control (case-reference), Cohort (follow-up), Ecological (correlational), Cross-sectional.B) Experimental/intervention studiesi) Randomized controlled trials/clinical trials. ii) Field trials.iii) Community trials.iv) Animal studies.